Earliest sign of compartment syndrome of leg is:
1. Tingling or numbness
2. Skin mottling
3. Pulselessness
4. Pain on Passive stretch

Correct answer: 4. Pain on Passive stretch

Explanation: COMPARTMENT SYNDROME There is increase pressure in closed fascial space due to inflammatory reactions due to which muscles fibres undergo ischemia and fibrosis as a long term complication . Compartment syndrome of leg - most commonly involves deep posterior compartment of leg >deep flexor compartment of forearm 5P's of compartment syndrome pain out of proportion,pulselessness,pallor, parasthesia, paralysis Earliest sign is pain on passive stretch Earliest symptom is pain out of proportion of injury It has normal pulse since only micro-circulation is affected